A 60-year old male presents with progressive difficulty in swallowing, vomiting and occasional regurgitation for the past 3 months. Barium studied showed marked dilatation of the upper esophagus with narrowing of the lower segment. Manometry showed absent esophageal peristalsis. This patient needs to have -
1. Ballon dilatation
2. Endoscopic banding
3. Sclerotherapy
4. Proton pump inhibitor

Correct answer: 1. Ballon dilatation

Explanation: The most common cause of narrowing of the esophagus, or stricture, is scarring of the esophagus from reflux of stomach acid occurring in patients with heartburn. Patients with a narrowed portion of the esophagus often have trouble swallowing; food feels like it is "stuck" in the chest region, causing discomfort or pain. Less common causes of esophageal narrowing are webs or rings (which are thin layers of excess tissue), cancer of the esophagus, scarring after radiation treatment or a disorder of the way the esophagus moves . Esophageal Dilation. During esophageal dilation (also called pneumatic dilation), an endoscopic tube is inserted through the mouth and into the esophagus. A balloon is expanded inside the esophagus to stretch muscle fibers inside the lower esophageal sphincter (LES). Ref Davidson edition23rd pg 729